The mode of transmission of tuberculosis to the endometrium is ___________
1. Hematogenous
2. Lymphatic spread
3. Retrograde spread
4. Local spread

Correct answer: 4. Local spread

Explanation: Endometrial tuberculosis is most commonly accquired by direct spread from the fallopian tubes. Genital Tuberculosis: Female genital tuberculosis is an important cause of significant morbidity, short and long-term sequelae especially infertility. Genital tuberculosis usually occurs secondary to pulmonary (commonest) or Extrapulmonary TB like gastrointestinal tract, kidneys, skeleta; system, meninges, and miliary TB. However, Primary genital TB can rarely occur in women whose male partners have active genitourinary TB (e.g., tuberculosis epididymis) by transmission through infected semen Most common site involved in secondary genital TB is Fallopian tube (90-100%) > Endometrium (50-80%) > Ovaries (20-30%) > Cervix (5-15%) > Vulva The most common symptom of genital TB is infertility Causes of infertility in Genital TB : Tubal blockage If tubes are patent, then also infertility occurs due to loss of tubal function Tubercular endometritis causes uterine scarring resulting in the destruction of the endometrium Ovarian damage with poor ovarian reserve and volume Hematogenous spread is thought to be the process by which the tubercle bacillii implant into the mucosa of the fallopian tubes and subsequently affect the endometrium by direct extension. A laparoscopy and dye hydrotubation (lap and dye test) is the most reliable tool to diagnose genital TB, especially for the tubal, ovarian and peritoneal disease. The test can be combined with hysteroscopy. Multiple drug therapy (ATT regimen provided by DOTS) in adequate doses and for sufficient duration is the mainstay in the treatment of TB including genital tuberculosis. Ref: Shaw's textbook of Gynaecology 17th edition Pgno: 348